Palpation on the costovertebral angle produces pain and tenderness in acute adrenal insufficiency.This is -
1. Rotch's sign
2. Rossolimo's sign
3. Rogoff s sign
4. Osler's sign

Correct answer: 3. Rogoff s sign

Explanation: • Costovertebral angle pain and tenderness in acute adrenal insufficiency is known as Rogoff’s sign.